Which of the following is derived from tyrosine -
1. Melatonin
2. Serotonin
3. Melanin
4. Niacin

Correct answer: 3. Melanin

Explanation: Ans. is 'c' i.e., Melanino Tyrosine is a precursor of many important compounds such as catecholamines (epinephrine, norepinephrine ), dopamine), thyroxine, triiodothryonine, melanin.o Dopamine b-hydroxylase is a 'copper ' containing monooxygenase that requires ascorbic acid and molecular oxygen.o It catalyzes the formation of norepinephrine.